Which of the following is an indication of urgent ERCP in pancreatitis?
1. Acute alcoholic pancreatitis
2. Acute necrotising pancreatitis
3. Acute biliary pancreatitis with cholangitis
4. Chronic calcific pancreatitis with pseudocyst

Correct answer: 3. Acute biliary pancreatitis with cholangitis

Explanation: Urgent ERCP is indicated in patients who have severe acute biliary pancreatitis with cholangitis. Reference: Harrisons Principles of Internal Medicine, 18th Edition, Page 2640